The maximum ozone concentration in polluted atmosphere is dependent on the concentration and ratio of nitrogen oxides and which one of the following-
1. Carbon monoxide
2. Lead
3. Volate organic compounds
4. Sulphur dioxide

Correct answer: 3. Volate organic compounds

Explanation: Ans. is 'c' i.e., Valate organic compounds Ground level ozone is formed from Nitrogen Oxides (NO) and valati le organic compounds (VOC), e.g., Methane